Myrmecia warts are-
1. Planer wart
2. Plantar wart
3. Verrucous wart
4. Palmer wart

Correct answer: 2. Plantar wart

Explanation: B i.e. Plantar wart